Pop corn cells are seen in which subtype of Hodgkin's disease
1. Nodular sclerosis
2. Mixed cellularity
3. Lymphocyte predominant
4. Lymphocyte depletion

Correct answer: 3. Lymphocyte predominant